Drug of choice for myoclonic seizures is
1. Valproic acid
2. Phenytoin
3. Ethosuximide
4. Carbamazepine

Correct answer: 1. Valproic acid

Explanation: Ans. is 'a' i.e., Valproic acid